Screening of prostate CA is best done by
1. PET CT
2. PSA
3. DRE
4. DRE + PSA

Correct answer: 4. DRE + PSA

Explanation: DRE + PSA is the best way to screen prostate Ca.